Low serum haptoglobin in hemolysis is masked by ?
1. Pregnancy
2. Liver disease
3. Bile duct obstruction
4. Malnutrition

Correct answer: 3. Bile duct obstruction

Explanation: Ans. is 'c' i.e., Bile duct obstruction Haptoglobin o Haptoglobin is a transport glycoprotein which binds free hemoglobin in plasma and carries it to the reticuloendothelial system. It is synthesized in the liver. o A decrease in haptoglobin levels (with normal liver function) occurs when there is excess of hemoglobin in the plasma due to intravascular hemolysis ---> free hemoglobin in plasma bound to haptoglobin and this complex is rapidly cleared by mononuclear phagocytic system. o In biliary obstruction the serum haptoglobin level is increased and this may mask the decrease in serum haptoglobin due to hemolysis.